Power is the ability to
1. Reject true null hypothesis
2. Reject false null hypothesis
3. Accept true null hypothesis
4. Accept false null hypothesis

Correct answer: 2. Reject false null hypothesis

Explanation: Power is the probability of rejecting the null hypothesis when, in fact, it is false. Power is the probability of making a correct decision (to reject the null hypothesis) when the null hypothesis is false. Power is the probability that a test of significance will pick up on an effect that is present. Ref :